Unsatisfactory colposcopy means :
1. Failure to visualize cervix
2. Failure to visualize transformation zone
3. Failure to visualize squamous epithelium
4. Failure to visualize columnar epithelium

Correct answer: 2. Failure to visualize transformation zone

Explanation: Ans. is b i.e. Failure to visualize transformation zone Colposcopy is the primary technique for the evaluation of an abnormal cervical cytology smear. Whole of the transformation zone needs to be visualised, as this area is believed to be the site of neoplastic change. Colposcopy is deemed unsatisfactory if the whole of the transformation zone is not visualised. This situation may arise in postmenopausal women, and the clinician may resort to a short course of oral oestrogens; and when colposcopy is repeated 6 -- 8 weeks later, the squamocolumnar junction will often be visible. Unsatisfactory colposcopy in the presence of abnormal cytology is an indication for a cone biopsy.